All of the following are true about cystic hygroma except:
1. These are Multiloculated cysts lined with endothelium
2. Transillumination positive
3. Posterior neck region is more commonly involved
4. Sistrunk incision is used for surgical excision

Correct answer: 4. Sistrunk incision is used for surgical excision

Explanation: Sistrunk incision is used in Parotidectomy.